A 24-year-old female unable to conceive since 15 months, Previously she had recurrent pelvic inflammatory disease, normal menses, normal vaginal and cervical examination.What is the next line investigation here?
1. HSG
2. AMH
3. Hysteroscopy
4. CA 125

Correct answer: 1. HSG

Explanation: History of recurrent PID is suggestive of tubal infertility and warrants investigation for tubal patency. Tests for Tubal Patency HSG: Cavity of the uterus and fallopian tube patency can be checked As it does not require anesthesia, it is the First-line investigation for checking tubal patency. Laparoscopy with chromopertubation with methylene blue dye: Best investigation, as tubal patency can be confirmed under vision AMH- Test for ovarian reserve. Hysteroscopy- Evaluates any Uterine cavity factors (septum, endometrial polyps, submucosal fibroids, intrauterine adhesions). CA 125 is a marker for ovarian malignancy, may be raised in tuberculosis, endometriosis, liver disease